A healed patch of chorioretinitis gives rise to:
1. Negative scotoma
2. Positive scotoma
3. Both of the above
4. None of the above

Correct answer: 1. Negative scotoma

Explanation: Ans. Negative scotoma